Neovascularization is maximum on:
1. 3rd day
2. 5th day
3. 7th day
4. 10th day

Correct answer: 2. 5th day